Optic nerve consists of axons of:
1. Ganglion cells
2. Bipolar cells
3. Rods and cones
4. All of the above

Correct answer: 1. Ganglion cells

Explanation: Ans. Ganglion cells